Civatte bodies are found in –
1. Lichen planus
2. Psoriasis
3. Dermatophytosis
4. Vitiligo

Correct answer: 1. Lichen planus